Testesterone secreted by:
1. Leydig cells
2. Sertoli cells
3. Cowper's gland
4. Intermediate cells

Correct answer: 1. Leydig cells

Explanation: Ans: A (Leydig cells) Ref: Pal GK. Male reproductive system. In: Textbook of Medical Physiology. Ahuja Publishing House. 2007; 54: 410.Explanation:Sertoli Cell1. Endocrine functicInhibin. Follistatin - |FSHActivin |FSHMIS (Mullerian Inhibiting Substance) - 8th week of 1ULEstrogen - from androgen by aromatase2. Secretory functionsAndrogen binding Protein (ABP) - binds with DHT, testosterone & transport to epididymisH- Y antigen - development of gonadsPlasminogen activatorLeydig cellsSecretes testosterone, DHEA, AndrostenodioneCowper's gland (Bulbourethral gland)homologous to Bartholin's glands in femalesCowper's gland secretion helps to lubricate the urethra for spermatozoa to pass through, neutralizing traces of acidic urine in the urethra